Adiministration of Scoline (Sch) produces dangerous hyperkalamia in
1. Acute Renal Failure (A.R.F.)
2. Raised ICT
3. Fracture femur
4. Paraplegia

Correct answer: 4. Paraplegia

Explanation: D i.e. Paraplegia